Superior pancreaticoduodenal artery is a branch of?
1. Hepatic artery
2. Splenic artery
3. Gastroduodenal artery
4. Inferior mesenteric artery

Correct answer: 3. Gastroduodenal artery

Explanation: Ans. is 'c' i.e., Gastroduodenal arteryGastroduodenal artery gives following branches :-Right gastroepiploic arterySuperior pancreaticoduodenal artery